False about vaccines is -
1. Thiomersal is preservative in DPT vaccine
2. Kanamycin is preservative in measles
3. Magnesium chloride stabilizer used in OPV
4. Neomycin is a preservative in BCG vaccine

Correct answer: 4. Neomycin is a preservative in BCG vaccine